Mallory bodies are seen in all of the following conditons except -
1. Alcoholism
2. Primary billiary cirrhosis
3. Secondary biliary cirrhosis
4. Wilson's disease

Correct answer: 3. Secondary biliary cirrhosis